Good clinical practice (GCP) is not required in:
1. Preclinical phase
2. Phase I trial
3. Phase II studies
4. Phase IV studies

Correct answer: 1. Preclinical phase

Explanation: Ans. (A) Preclinical Phase(Ref: KDT 8th/e p90)* GCP guidelines are made to safeguard the interest of subjects in clinical trials. These have to be adhered to in all phases of clinical trials.* Preclinical trials are performed in animals for which different regulations are given by CPCSEA (Committee for the Purpose of Control and Supervision of Experiments on Animals).